'Cafeteria approach' is related with:
1. Diet programme
2. Child and maternal health
3. National vector borne disease control programme
4. Contraception

Correct answer: 4. Contraception

Explanation: Ans: D i.e. Contraception A "Cafeteria Approach" meaning choose whatever method of contraception you like was introduced by the Health and Family welfare minister Prof. Chandrasekhar.